Best test for diagnosis of gastrinoma -
1. Ca++ infusion test
2. Secretin injection test
3. ACTH stimulation test
4. Steroid assay

Correct answer: 2. Secretin injection test

Explanation: gastrinoma is a gastrin-producing tumor usually located in the pancreas or the duodenal wall. Gastric acid hypersecretion and aggressive, refractory peptic ulceration result (Zollinger-Ellison syndrome). Diagnosis is by measuring serum gastrin levels. Treatment is proton pump inhibitors and surgical removal Post-injection blood samples are collected after 1, 2, 5, 10, and 30 minutes for determination of serum gastrin concentrations. Gastrinoma is strongly indicated in patients who show an increase in serum gastrin concentration of at least 110 pg/mL over basal level on any of the post secretin injection samples Ref Davidson edition23rd pg817